As per RNTCP guidelines first do in TB suspect case ?
1. Chest X-ray
2. Sputum culture
3. Sputum microscopy
4. Start short-course chemotherapy

Correct answer: 3. Sputum microscopy

Explanation: Ans. is 'c' i.e., Sputum microscopy Treatment stratgics in RNTCP Under the RNTCP active case finding is not prusued. Case finding is passive. Patients presenting thremselves with symptoms suspicious of tuberculosis are screened through 2 sputum smear examination. Sputum microscopic examination is done in designated RNTCP microscopy centres. It is essential to examine 2 sputum specimens of each patient before a conclusive diagnosis can be made. If only 1 sputum smear is positive, chest x-ray helps in diagnosis. Once the diagnosis is confirmed, treatment is started according to DOTS (Directly observed therapy short term). Patient are expected to collect drugs once a month (not daily) on fixed dates from the nearest treatment centre.